red leg disease is caused by ?
1. aeromonas
2. pseudomonas
3. histoplasmosis
4. shigella hemolyticus

Correct answer: 1. aeromonas

Explanation: REDLEG Aeromonas is the most common cause of clinical bacterial diseases in amphibians and has been associated with the syndrome known as redleg disease The first thing to do, however, is to isolate the affected animal. Check temps, water quality, humidity and lighting. ref : ananthanaryana 9th ed